All of the following are associated with low complement levels except -
1. Lupus nephritis
2. Mesangiocapillary glomerulonephritis
3. Diarrhea associated hemolytic uraemic syndrome
4. Glomerulonephritis related to bacterial endocarditis

Correct answer: 3. Diarrhea associated hemolytic uraemic syndrome